Which of the follwoing statements is false regarding simple benign febrile seizures?
1. It is the commonest seizure disorder of childhood
2. Has no genetic predisposition
3. Commonly occurs between 6 months to 1 year of age
4. It is usually a generalised tonic clonic seizure

Correct answer: 2. Has no genetic predisposition

Explanation: Studies have mapped the febrile seizure gene to chromosome 19p and 18q. An autosomal dominant inheritance pattern is demonstrated in some families. Reference: 1. O P Ghai, 5th Edition, Page 407 2. Nelson, 17th Edition, Page 2310